A 30 year old G5 P3 A1 comes to your OPD in exhausted state with labour pains since 12 hours and history of drainage of liquor 10 hours back. On examination her pulse is 96/ min, tongue is dry and coated. By PA examination it is term pregnancy with good uterine contractions and with absent fetal heart sound. On PV examination cervix is thick, 6-7 cm dilated membrane absent, big caput is present and station of head is + 3. Your most likely diagnosis is:-
1. Normal labour finding
2. Prolonged labour
3. Obstructed labour
4. Abnormal uterine action

Correct answer: 3. Obstructed labour

Explanation: This is a classic presentation of obstructed labour. There are features of exhaustion, dehydration and tachycardiA. The FI-IS is absent the fetus may die in such cases because of asphyxia acidosis or hemorrhage). The PA and PV findings are also favourable for diagnosis of obstl1lcted labour. Obstructed labour may or may not be associated with prolonged labour. Abnormal uterine actions may follow obstructed labour as Bandl's ring formation. '